Which one of the following is not a Pervasive Developmental Disorder
1. Autistic disorder
2. Conduct disorder
3. Asperger's disorder
4. Rett's disorder

Correct answer: 2. Conduct disorder

Explanation: Pervasive Developmental Disorder- group of neurodevelopmental disorder. It includes- Autism (i.e. marked impairment in reciprocal social and interpersonal interaction) Asperger's syndrome is characterized by autism without any significant delay in language or cognitive development (including intelligence). Rett's syndrome is a disorder which is only reported in girls so far. Heller's syndrome